Last electron acceptor in electron transport chain is
1. FADH2
2. NADH2
3. Cytochrome C
4. O2

Correct answer: 4. O2

Explanation: Complex IV: Cyt-c Oxidase The system functions: * As proton pump * Catalyses transfer of electrons to molecular O2 to form H2O. This is the terminal component of ETC. It catalyzes the transfer of electrons from Cyt-c to molecular O2 Cyt-a, Cu++ ions and Cyt-a3.Ref: MN Chatterjea Textbook of Medical Biochemistry, 8th edition, page no: 142